A 12-yrs-old boy comes to you with pain and inflammation over the heel of his left foot and red streaks extending up the inner aspect of his leg. He remembers removing a wood splinter from the sole of his foot on the previous day. The most likely infecting organism is
1. Clostridium perfringens
2. Clostridium tetani
3. Staphylococcus
4. Streptococcus

Correct answer: 4. Streptococcus

Explanation: The significant observation in this question is the description of lymphangitic inflammatory streaking up the inner aspect of the patient's leg. This is highly suggestive of a streptococcal infection.